Preferred method of contraception for a female with family H/O ovarian cancer :
1. POP
2. Cu IUCD
3. OCP
4. Barrier method

Correct answer: 3. OCP

Explanation: OCPs reduce ovarian cancer. TEXTBOOK OF GYNECOLOGY SHEILA BALAKRISHNAN SECOND EDITION PAGE NO 368 Table no 33.4